The karyotype of a patient with Androgen Insensitivity Syndrome is –
1. 46 XX
2. 46 XY
3. 47 XXY
4. 45 XO

Correct answer: 2. 46 XY

Explanation: An individual with 'androgen insensitivity syndrome' are XY individuals (male karyotype) with a female phenotype. Mutation in the androgen receptor causes resistance to androgen action and the androgen insensitivity syndrome results.